All predisposes to isoimmunisation in a Rh-ve female except.
1. Advaned maternal age
2. Antepartum haemorrhage
3. Caesarian section
4. Postdated pregnancy

Correct answer: 1. Advaned maternal age

Explanation: Ans. is 'a' i.e. Advanced maternal age Following are the conditions predisposing to isoimmunization in Rh-ve femaleabortionchorionic villous samplingamniocentesisantepartum Haemorrhage attempted versioncaesarian section*manual removal of placenta Recent studies state that there is continuous feto-maternal bleed occurring throughout normal pregnancies. So it is not advisable to go beyond the expected date of pregnancy. Hence postdated pregnancy is another risk-factor for isoimmunization. *